Tyrosinosis most common cause is:
1. Fumarylacetoacetate hydrolase
2. Tyrosine transaminase
3. Parahydroxy phenyl pyruvate hydroxylase
4. Homogentisate oxidase

Correct answer: 1. Fumarylacetoacetate hydrolase

Explanation: Ans. A. Fumaryl Acetoacetate HydrolaseTyrosinosis or Tyrosinemia most common type is Type I Tyrosinemia. The enzyme defect is Fumaryl Acetoacetate Hydrolase deficiency. Incidence is 1 in 1846 live birth. Type II and III Tyrosinemia is rare types.